All are non contraceptive advantages of oral contraceptive pills except
1. Pelvic inflammatory disease
2. Hepatic adenoma
3. Benign breast cancer
4. Anemia

Correct answer: 2. Hepatic adenoma